The most important determinant of prognosis of a patients with Wilms tumor is:
1. Stage of disease
2. Histology
3. Loss of chromosome 1p
4. Age of presentation

Correct answer: 2. Histology

Explanation: Most important factor for prognosis of Wilm's tumor is Histology. Higher the degree of anaplasia - Poorer the prognosis. Presence of anaplasia associated with p53 gene mutation isresponsible for adverse prognosis.